The following are the features of anovulatory menstruation except :
1. The only symptom may be failure of conception
2. It is usually associated with painless periods
3. May be associated with premenstrual syndrome
4. May be associated with DUB

Correct answer: 3. May be associated with premenstrual syndrome

Explanation: Anovulatory DUB is characterised by irregular cycles,short cycles with scanty flow or periods of amenorrhoea followed by prolonged and irregular bleeding Usually due to alteration in the hypothalamic-pituitary axis.More common in extremes of reproductive life and in PCOS. There is unopposed oestrogen stimulation of the endometrium and this Oestrogen withdrawal bleeding is characteristically painless irregular and prolonged,lacking the synchronous nature of normal menstruation. Reference :textbook of gynaecology, Sheila balakrishnan, 2nd edition,page 50